Finn classified habits as:
1. Compulsive and non-compulsive
2. Primary and secondary
3. Useful and harmful habits
4. Both 1 and 2

Correct answer: 4. Both 1 and 2